Which of the following is a compressible swelling?
1. Lipoma
2. Hernia
3. Hemangioma
4. Sebaceous cyst

Correct answer: 3. Hemangioma

Explanation: Hemangioma REF: Bedside Clinics in Surgery By M.L. Saha Page 314 "In Hemangioma compressibility test is positive continued pressure and squeezing will drive the blood out of the lesion and the swelling crumbles. As soon as the pressure removed, the swelling reappears with refilling"